Relaxation of mesangial cells of kidney is brought about by
1. PGF2a
2. Vasopressin
3. cAMP
4. Endothelin

Correct answer: 3. cAMP

Explanation: Mesangial cells contractionMesangial cells relaxationEndothelinsAngiotensin IIVasopressinNor-epinephrinePlatelet -activation factorPlatelet-derived growth factorThromboxane A2PGF2LT-C4and D4HistamineANPDopaminePGE2cAMP(Refer: Ganong's Review of Medical Physiology 24thedition, pg no: 678-682)